At how many weeks of gestation is amniocentesis mostly performed ?
1. 10-12 weeks
2. 12-20 weeks
3. 20-25 weeks
4. 25-30 weeks

Correct answer: 2. 12-20 weeks

Explanation: Amniocentesis is often performed between 15 and 20 weeks of gestation. Chorionic villus sampling (CVS) is an alternative to amniocentesis and is usually performed either transervically or trans abdominally between 10 and 12 weeks of gestation .